Following predispose to the high risk of vulvovaginal candidiasis except
1. HIV
2. Hypertension
3. Pregnancy
4. DM

Correct answer: 2. Hypertension

Explanation: Several potential risk factors have been described, including the recent use of antibiotics and oral contraceptives, the presence of diabetes mellitus, dietary practices, gastrointestinal colonization by the organism, clothing and sanitary protection practices, sexual communicability of the organism, and HIV, DM, Ref ganong's review of medical physiology 25e 498